Smt. Gupta presented with bleeding PV and enlarged inguinal nodes. She was diagnosed as a case of endometrial carcinoma. State the stage
1. Stage II
2. Stage III
3. Stage IV
4. Stage I

Correct answer: 3. Stage IV

Explanation: Ans. is c i.e. Stage IV